The following tumours commonly metastasis to the ovary, except :
1. Malignant melanoma
2. Stomach
3. Oesophagus
4. Lymphoma

Correct answer: 3. Oesophagus

Explanation: Oesophagus